All of the following are used for reconstruction of breast except -
1. Transverse rectus abdominis myocutaneous flap
2. Latissimus dorsi myocutaneous flap
3. Pectoralis major myocutoneous flap
4. Transversus rectus abdominis free flap

Correct answer: 3. Pectoralis major myocutoneous flap

Explanation: Ans. is 'c' i.e., Pectoralis major myocutoneous flap Options for breast reconstruction||||AutogenousAlloplasticCombined|||o Silicone gel implanto Silicone implant with saline fill |||||||TRAM flap (Most common)Latissimus dorsi myocutaneous flapGlutealflapRuben'sflapThoracoepigastricflapLateral thigh flapBreast splitting procedure (historical value only)o Single Pedicleo Double Pedicleo Free flapo Deep inferior epigastric perforator flap o TRAM-transverse rectus abdominis myocutaneous